How should the lingual extension of the mandibular impression be tested
1. By functional movements of the facial muscles
2. By vigorous extreme movements of the tongue
3. By functional movements of the tongue
4. By lateral and protrusive movement of the mandible

Correct answer: 3. By functional movements of the tongue